Creatine is made up of all, except ?
1. Glycine
2. Alanine
3. Methionine
4. Arginine

Correct answer: 2. Alanine

Explanation: Ans. is 'b' i.e., Alanine